A person returns to Delhi from Bangladesh after 2 days and has diarrhoea. Stool examination shows RBCs in Stool. The likely organism causing is -
1. Enteropathogenic E. Coll
2. Enterotoxigenic E. Coli
3. Salmonella typhi
4. Shigella dysentriae

Correct answer: 4. Shigella dysentriae